Prolapse of vertebral disc between L5-S1 will affect which nerve root
1. L4
2. L5
3. S1
4. S2

Correct answer: 3. S1

Explanation: Since most disc herniations occur posterolaterally, the root that gets compressed is actually the root that exits the foramen below the herniated disc. So, a disc protrusion at L4/L5 will compress the L5 root, and a protrusion at L5/S1 will compress the S1 root . Ref - sciencedirect.com